A 42-year-old man presents with central, crushing chest pain that radiates to the jaw. The pain occurred while jogging around the local park. The pain was alleviated with rest. The ECG is normal. Diagnosis is?
1. Angina pectoris
2. Acute Pericarditis
3. STEMI
4. NSTEMI

Correct answer: 1. Angina pectoris

Explanation: Angina pectoris - Chronic stable - > 70% blockage in any one coronary artery - chest pain alleviated with rest